Which of the following part of optic nerve is longest?
1. Intraorbital
2. Intraocular
3. Intracranial
4. Intracanalicular

Correct answer: 1. Intraorbital

Explanation: Intra-orbital is the longest part of optic nerve. Cranial Nerve Optic nerve arises from ganglion cell axons. Length = 50 mm. (40 mm in few texts) Can be considered as part of brain 2nd order neuron Parts: Intraocular(1), Intraorbital(2), Intracanalicular(3), Intracranial(4). Smallest part of optic nerve is Intraocular Longest part : Intraorbital.